At the age of 12 years, total number of teeth are:
1. 12
2. 20
3. 24
4. 30

Correct answer: 3. 24

Explanation: 24